How do you manage an established freys syndrome?
1. Facial nerve stimulation
2. Physiotherapy
3. Antidepressants
4. Tympanic neurectomy

Correct answer: 4. Tympanic neurectomy

Explanation: MANAGEMENT OF ESTABLISHED FREY'S SYNDROMEAntiperspirants, usually containing aluminium chloride;Denervation by tympanic neurectomy;The injection of botulinum toxin into the affected skin.PreventionTechniques described to prevent Frey's syndrome following parotidectomy. These include:Sternomastoid muscle flap;Temporalis fascial flap;Insertion of artificial membranes between the skin and the parotid bed.Ref: Bailey and love, page no: 795